Which first line antitubercular drug is bacteriostatic ?
1. INH
2. Rifampicin
3. Ethambutol
4. Pyrazinamide

Correct answer: 3. Ethambutol

Explanation: Ans. is 'c' i.e., Ethambutol o All first line drugs are tuberculocidal except ethambutol which is tuberculostatic.Thberculocidal -Rifampin, INH, streptomycin, pyrazinamide.Tuberculostatic - Ethambutol, PAS, cycloserine, thioacetazone.